Life span of neonatal RBC ?
1. 60-90 days
2. 90-120 days
3. 120-150 days
4. 150-200 days

Correct answer: 1. 60-90 days

Explanation: Ans. is 'a' i.e., 60-90 days